Regarding Oxytocin, true statements are
1. Acts on myoepyhelial cells
2. Causes contraction of uterus during labour
3. May cause retention of water
4. All of the above

Correct answer: 4. All of the above

Explanation: Refer KDT 6/e p 319 Oxytocin is an octapeptide secreted by the posterior Pituatory along with ADH. Both Oxytocin and ADH are synthesized within the nerve cells bodies in supraoptic and paraventricular nuclei of hypothalamus are transported down the axon and stored in the nerve endings within the neuro hypoohysis Oxytocin increases the force and frequency of uterine contractions Oxytocin causes myoepthelium of mammary alveoli and forces milk into the bigger milk sinusoids